The occurrence of hyperthyroidism following administration of supplemental iodine to subjects with endemic iodine deficiency goitre is known as -
1. Jod-Basedow effect
2. Wolff-Chaikoff effect
3. Thyrotoxicosis factitia
4. De Quervain's thyroiditis

Correct answer: 1. Jod-Basedow effect